All is true about notochord Except
1. Derived from mesoderm between prochordal plate and primitive pit
2. Causes induction of the overlying ectoderm to form nervous system
3. Becomes annulus fibrosus of adult intervertebral disc
4. Remnants may persist and give rise to a chordoma

Correct answer: 3. Becomes annulus fibrosus of adult intervertebral disc

Explanation: Becomes annulus fibrosus of adult intervertebral disc*The notochord is a flexible, rod-shaped body composed of cells derived from the mesoderm and defining the primitive axis of the embryoThe notochord is found on the ventral surface of the neural tube & is replaced by the vertebral column during developmentPostembryonic vestige of the notochord is found in the nucleus pulposus* of the intervertebral disks, but not in the vertebral bodies, from which notochordal cells usually regress entirely. Remnants may persist and give rise to a chordomaNotogenesis is the development of the notochord by the epiblast(s) that make up the floor of the amnion cavity The notochord forms during gastrulation and soon after induces the ectoderm to form the neural plate (neurulation), synchronizing the development of the neural tube. On the ventral aspect of the neural groove, an axial thickening of the endoderm takes place. This thickening assumes the appearance of a furrow (the chordal furrow) the margins of which come into contact, and so convert it into a solid rod of polygonal-shaped cells (the notochord) which is then separated from the endoderm.